which layer of cornea helps in maintaining hydration OF stroma of cornea
1. Descement membrane
2. Endothelium
3. Epithelium
4. stroma

Correct answer: 2. Endothelium

Explanation: REF : AK KHURANA 7TH ED